Genomic imprinting is associated with-
1. Silencing of paternal chromosome
2. Silencing of maternal chgromosome
3. Angelman syndroma
4. All

Correct answer: 4. All

Explanation: Ans. is 'a' i.e., Silencing of paternal chromosome; 'b' i.e., Silencing of maternal chromosome; `c' i.e., Angelman syndroma Prader Willi Syndrome Deletion occurs exclusively on paternal chromosome 15 (deletion of band q 12 in long arm of chromosome 15) Features : Diminished fetal activity Hypotonia Obesity Intellectual disability Short stature Hypogonadotropic hypogonadism